Intellectual disability is not a feature of one of the following Mucopolysaccharidosis?
1. Hurler MPS-I
2. Hunter MPS -II
3. Sanfillipo MPS -III
4. Morquio MPS --IV

Correct answer: 4. Morquio MPS --IV

Explanation: Features of Morquio MPS-IV:HepatosplenomegalySkeletal dysplasia, odontoid hypoplasiaCorneal cloudingGranulated neutrophilsAoic valve diseaseNo intellectual disability(Ref: Harrison's 18/e p2452, table 355-1)